Von-Rosen's splint used in:
1. Congenital dislocation of hip joint
2. Congenital taloequinovarus
3. Tibia vera
4. Congenital coxa-vara

Correct answer: 1. Congenital dislocation of hip joint

Explanation: (Congenital dislocation of hip joint) (203-M)Congenital dislocation of hip(a) Plaster cast - A frog leg (Lorenz cast) or Bachelor cast(b) Splint - Von Rosen's splint